Parasympathetic supply to lacrimal glands are passed through -
1. Lesser petorsal nerve
2. Chorda tympani
3. Greater petorsal nerve
4. Lingual nerve

Correct answer: 3. Greater petorsal nerve

Explanation: Ans. is 'c' i.e., Greater petrosal nerve o Secretomotor (parasympathetic) fibers to lacrimal gland travel through greater petrosal nerve.GangliaSensory rootSympathetic rootSecretomotor rootMotor rootDistributionCiliaryFrom nasociliary nervePlexus along ophthalmic artery-Edinger-Westphal nucleus - oculomotor nerve - nerve to inferior obliqueCiliaris musclesSphincter pupillaeOticBranch from auriculotemporal nervePlexus along middle meningeal arteryInferior salivatory nucleus- pharyngeal nerve- tympanic branch- tympanic plexus- lesser petrosal nerveBranch from nerve to medial pterygoidto parotid gland via auriculotemporal nerveTensor veii palatini and tensor tympani via nerve to medial pterygoid (unrelated)Pterygopalatine2 branches from maxillary' nerveDeep petrosal from plexus around internal carotid arteryLacrimatory nucleus nervus intermedins - facial nerve - geniculate ganglion- greater petrosal nerve+ deep petrosal nerve= nerve of the pterygoid canal-Mucous glands of the nose, paranasal sinuses, palate nasopharynxSome fibers pass through zygomatic nerve -zygomaticotemporal branch to the lacrimal nerve-Lacrimal glandSubmandibular2 branches from lingual nervefromplexus around facial arterySuperior salivatory nucleus-facial nerve - chorda tympani joins the lingual nerve-Submandibular, Sublingual and Anterior lingual glands